Muscles with parallel fibres are all EXCEPT:
1. Sartorius
2. Rectus Abdominis
3. Sternohyoid
4. Tibialis Anterior

Correct answer: 4. Tibialis Anterior

Explanation: Tibialis Anterior muscle is a circumpinnate muscle with oblique fibres. Muscles with parallel fasciculi: These are muscles in which the fasciculi are parallel. Few examples are: Strap-like e.g. sternohyoid and sartorius. Strap-like with tendinous intersections e.g. rectus abdominis. In tibialis anterior fibres start from the walls of osteofascial compartments and converge obliquely on a central tendon in circumpennate fashion (e.g. tibialis anterior).